Lewy bodies are found in the substantia nigra neurons in
1. Alzheimer disease
2. Parkinson disease
3. Huntington disease
4. Pick disease

Correct answer: 2. Parkinson disease

Explanation: Robbins and cotran Pathologic basis of disease-south asia edition,9 edition *In Parkinson's disease the most prominent histologic correlate is the presence of widespread lewy bodies in neurons in cortex and brainstem